Croup is most commonly due to -
1. The respiratory' syncytial virus
2. The para influenza virus
3. The adenovirus
4. The coronavirus

Correct answer: 2. The para influenza virus

Explanation: Ans, is 'b' i.e., The para influenza virus Croup tLarvngotracheobronchitislo Croup is a viral infection of upper respiratoiy tract,o Children between the age of 1-5 years are affected,o Para-influenza type I virus is the most common causative organism.o Other viruses implicated in causaction are RSV, influenza virus, Adneovirus and Rhinovirus.